Boundary of triangle of auscultation is formed by all EXCEPT
1. Scapula
2. Trapezius
3. Serratus anterior
4. Latissimus dorsi

Correct answer: 3. Serratus anterior

Explanation: Triangle of auscultation helps in hearing breath sounds clearly and splash sound of food entering stomach. The triangle is formed by: Trapezius - medial border, Lattismus Dorsii - lower border and Scapula- lateral border Fig. Triangle of auscultation